Barium oesophagogram findings in carcinoma esophagus are all EXCEPT
1. Distortion of the esophageal lumen
2. Annular stricture
3. Edges of filling defect are not clear-cut
4. Irregular "rat - tail" filling defect of the distal esophagus

Correct answer: 3. Edges of filling defect are not clear-cut

Explanation: C. (818 - S. Das) Barium oesophagogram in carcinoma esophagus shows 1. Irregular mucosal filling defect 2. Distortion of the esophageal lumen 3. Annular stricture 4. Irregular "rat - tail" filling defect of the distal esophagus with a shouldered edge 5. Edges of filling defect are usually sharp and clear-cut ** Tertiary waves consist of non-propulsive disorganized contractions which fail to advance the barium bolus (AI 09) * "Apple core sign " is a feature of carcinoma of colon** * Bird of prey" sign is seen in the radiographic barium examination of - Sigmoid volvulus**